A female patient Chandani develops chest pain which is not associated with exercise and chest auscultation shows multiple non ejection clicks. The investigation which is used to diagnose the disease is :
1. Echocardiography
2. Pyrophosphate scan
3. Thallium 201 scan
4. ECG

Correct answer: 1. Echocardiography

Explanation: Answer is A (Echocardiography) The investigation of choice in MVP is echocardiography. Two dimensional echocardiography is particularly effective in identifying the abnormal position and prolapse of mitral valve leaflets.